"Tentative" cuts are seen in:
1. Homicide
2. Suicide
3. Accidents
4. Fall

Correct answer: 2. Suicide

Explanation: Suicide